Study of fetal parts in first trimester with least radiation hazard :
1. X-ray abdomen
2. Pelvimetry
3. CT scan
4. Ultrasound

Correct answer: 4. Ultrasound

Explanation: Ultrasound